The technique for accurate quantification of gene expression is
1. Northern blot
2. RTPCR
3. Real-Time Reverse Transcriptase PCR
4. Reverse Transcriptase PCR

Correct answer: 3. Real-Time Reverse Transcriptase PCR

Explanation: RTPCR Real-time PCR Traditional PCR For accurate quantification of the amount of initial DNA in the reaction Detects the DNA by electrophoresis at the end-point of the reaction